Kupffer cells are found in
1. Heart
2. Lungs
3. Liver
4. Spleen

Correct answer: 3. Liver

Explanation: Ref Robbins 8/e p834; 7/e p79;9/e p102 Kupffer cells, also known as stellate macrophages and Kupffer-Browicz cells, are specialized macrophages located in the liver, lining the walls of the sinusoids. They form part of the mononuclear phagocyte system.